All are true about peripheral-neuropathy except -
1. Glove and stocking anaesthesia
2. Poximal muscle weakness
3. Nerve-conduction deficit
4. Decreased reflexes

Correct answer: 2. Poximal muscle weakness